All of the following soft tissue sarcoma has propensity for lymphatic spread except
1. Neurofibrosarcoma
2. Synovial sarcoma
3. Rhabdomyosarcoma
4. Epitheloid sarcoma

Correct answer: 1. Neurofibrosarcoma

Explanation: Ans. is 'a' i.e., Neurofibrosarcoma Soft tissue sarcomas are tumors of mesenchymal origin. Unlike most carcinomas, soft tissue sarcomas rarely metastasize to the lymph nodes (<5%); therefore lymph node surgery usually is not necessary.